Induction agent that may cause adrenal cortex suppression is
1. Ketamine
2. Etomidate
3. Propofol
4. Thiopentone

Correct answer: 2. Etomidate

Explanation: Synthesis of adrenal steroids (both mineral and glucocorticoids) is inhibited by etomidate.